Preferred treatment approach for locally advanced head and neck cancers is ?
1. Radiotherapy alone
2. Surgery alone
3. Induction chemotherapy followed by radiotherapy / surgery
4. Concomitant chemotherapy with radiotherapy

Correct answer: 4. Concomitant chemotherapy with radiotherapy

Explanation: LOCALLY OR REGIONALLY ADVANCED Head and neck cancerLocally or regionally advanced disease-disease with a large primary tumor and/or lymph node metastases-is the stage of presentation for 50% of patients.Such patients can also be treated with curative intent, but not with surgery or radiation therapy alone.Combined modality therapy including surgery, radiation therapy, and chemotherapy is most successful.It can be administered as induction chemotherapy (chemotherapy before surgery and/or radiotherapy) or as concomitant (simultaneous) chemotherapy and radiation therapy. The latter is currently most commonly used and best evidence-suppoed.In patients with intermediate stage (stage III and early stage IV) concomitant chemoradiotherapy is given postoperatively.It can be administered either as a primary treatment for patients with unresectable disease, to pursue an organ-preserving approach, or in the postoperative setting for intermediate-stage resectable tumors. Preferred chemotherapy agents - cisplatin and cetuximab